Wrong about time since death is
1. Less than 1 hour : body is warm
2. 6 - 8 hours : Lividity partially developed and not fixed
3. 12 hours : rigor present all over
4. 1 - 3 months : Body skeletonized

Correct answer: 2. 6 - 8 hours : Lividity partially developed and not fixed

Explanation: Reddish- to bluish-purple discoloration of the skin due to the settling and pooling of blood following death If her body was contorted for four to five hours after death . In 6 - 8 hours , Lividity fully developed and fixed . Ref synopsis of forensic laxminarayana 4e ; Krishnan vij Textbook of Forensic medicine and Toxicology 5th edtion